RPR is done for diagnosis of:
1. Malaria
2. Syphilis
3. Leishmaniasis
4. None

Correct answer: 2. Syphilis

Explanation: Ans. is. 'b' i. e., Syphilis